Golgi tendon apparatus conveys message to cns, depends upon
1. Tension in muscle
2. Length of muscle
3. Rapaidity of contraction
4. Blood supply

Correct answer: 1. Tension in muscle

Explanation: The Golgi tendon organ (GTO) (also called Golgi organ, tendon organ, neurotendinous organ or neurotendinous spindle) is a proprioceptive sensory receptor organ that senses changes in muscle tension. It lies at the origins and insertion of skeletal muscle fibers into the tendons of skeletal muscle. It provides the sensory component of the Golgi tendon reflex.(Ref: Ganong's review of medical physiology 23rd edition Page no: 162 )